Pikes medium is for:
1. Sterptococci
2. Mycobacterium
3. Borellia
4. Legionella

Correct answer: 1. Sterptococci

Explanation: Sterptococci